The risk factors of acute pelvic inflammatory disease (PID) are the following except
1. Menstruating teenagers who have multiple sex partners
2. IUD users
3. Women with monogamous partner who had vasectomy
4. Previous history of acute PID

Correct answer: 3. Women with monogamous partner who had vasectomy

Explanation: Ans. is c, i.e. Women with monogamous partner who had vasectomyRef: Dutta Gynae 6th/ed, pl28KEY POINTSWomen with monogamous partner who had vasectomy is a protective factor for PID and not risk factorRisk factors of PIDProtective factors of PID* Menstruating teenagers.* Multiple sexual partners.* Absence of contraceptive pill use.* Previous history of acute PID.* IUD users.* Area with high prevalence of sexually transmitted diseasesContraceptive practice* Barrier methods, specially condom, diaphragm with spermicides* Oral steroidal contraceptives have got two preventive aspects.- Produce thick mucus plug preventing ascent of sperm and bacterial penetration- Decrease in duration of menstruation, creates a shorter interval of bacterial colonization of the upper tract.* Monogamy or having a partner who had vasectomy.Others* Pregnancy* Menopause* Vaccines: Hepatitis B, HPV